Post translation carboxylation of clotting factors requires -
1. Vitamin C
2. Vitamin K
3. Vitamin A
4. Vitamin D

Correct answer: 2. Vitamin K

Explanation: Ans. is 'b' i.e., Vitamin Ko The only known biological role of vitamin K is as a cofactor for an enzyme carboxylase that catalyzes carboxylation of glutamic acid (glutamate )Q residues on vitamin K-dependent proteins. The important vitamin K dependent proteins are : i) Coagulation proteins: - Factor IIQ (prothrombin), factor VII (proconvertin0), factor IX (Christmas factor), and factor XQ (Stuart-Prower factor),ii) Anticoagulation proteins: - Proteins S and Z.iii) Gas 6